The following are related to the treatment of thalassaemia except:
1. Fresh (relatively) blood transfusion
2. Folic acid
3. Routine iron therapy
4. Deferoxamine improves pregnancy outcome

Correct answer: 3. Routine iron therapy

Explanation: As discussed in detail in preceeding text– on thalassemia, routine iron therapy should not be given in patients of thalassemia as it leads to hemochromatosis. Only if there is documented iron deficiency then given iron. Rest all options are correct